Filgrastim is used for the treatment of :
1. Neutropenia
2. Anemia
3. Polycythemia
4. Neutrophilia

Correct answer: 1. Neutropenia

Explanation: Filgrastim (G-CSF) and sargramostim (GM-CSF) are used to prevent or treat chemotherapy-induced neutropenia.
Erythropoietin is used to treat anemia associated with chronic renal failure and cancer chemotherapy.
Oprelvekin (IL-11) is used to prevent and treat thrombocytopenia.